Hormones required during puberty
1. LH
2. Testosterone
3. Leptin
4. All of the above

Correct answer: 4. All of the above

Explanation: Ans (d) All of the above(Ref: Ganong, 25th ed/p.396)Hormones required during puberty are GnRH, FSH, LH, Testosterone, Estrogen, leptin